A patient presents with cervical lymphadenopathy. Biopsy demonstrates a nodular lymphoma with follicle formation. This lesion would most likely be associated with which of the following?
1. bcr-abl hybrid
2. bcl-2 activation
3. c-myc activation
4. t(8, 14)

Correct answer: 2. bcl-2 activation

Explanation: Nodular lymphomas of all types are derived from the B-cell line. The translocation t(14, 18), with bcl-2 activation, is associated with these lymphomas. Must know: An abl-bcr hybrid and t(9, 22) translocation are associated with chronic myeloid leukemia (CML). c-myc activation and t(8, 14) are associated with Burkitt's lymphoma. Ref: Robbins Basic Pathology, 8th Ed, page 20-21;198-199